The best measure of burden of disease in a defined population is
1. DALY - Disability Adjusted Life Years
2. QALY - Quality Adjusted Life Years
3. HATE - Health Adjusted Life Expectancy
4. DFLE - Disability Free Life Expectancy

Correct answer: 1. DALY - Disability Adjusted Life Years